Transfer of an amino group from an amino acid to an alpha-keto acid is done by which of the following enzymes?
1. Transaminases
2. Oxidases
3. Transketolases
4. Deaminases

Correct answer: 1. Transaminases

Explanation: Transaminase is the enzyme which transfer alpha amino group from one alpha amino acid to another alpha keto acid forming a new alpha amino acid. Ref: Textbook of biochemistry by DM Vasudevan3rd edn/page 161.